Isolation in patient with Salmonellosis is done
1. Till fever subsides
2. Till 3 stool test are negative
3. Till Widal becomes negative
4. For 48 hrs of Chloramphenicol treatment

Correct answer: 2. Till 3 stool test are negative